Regarding the lipid or liposomal formulations of amphotericin B, which of the following statments is accurate?
1. They are less expensive to use then conventional amphotericin B
2. They are more effective in funfal infections then conentonal preparations because they increase tissue uptake of amphotericin B
3. They may decrease the nephrotoxicity of amphotericin B
4. They have wider spectrum of antifungal activity than conventional formulations of ampheotericin B

Correct answer: 3. They may decrease the nephrotoxicity of amphotericin B

Explanation: (Ref: KDT 6/e p758) Newer liposomal preparations of amphotericin B have the following features: Less chances of nephrotoxicity and infusin related reactions Lesser uptake in the tissues like kidney More expensive Similar in efficacy and antifungal spectrum as conventional preparations